Features seen in hemolytic anemia are all except-
1. Tear drop and Burr cells
2. Reduced haptoglobin
3. Reticulocytosis
4. Hemoglobinuria

Correct answer: 1. Tear drop and Burr cells

Explanation: In hemolytic anemia,as a result of increased red cell destruction - serum haptoglobin (alpha globulin binding protein ) is reduced or absent & due to intravascular hemolysis ,hemoglobinuria will be present . Due to increased red cell production,reticulocytosis will be present .

Tear drop cells are seen in beta thalassemia . Burr cells are seen in uraemia.

Reference :Harsh mohan textbook of pathology sixth edition pg no 311.